All of the following are associated with Small Bowel Bacterial Overgrowth syndrome EXCEPT
1. Bacteria to inhabitate in colon shift to small bowel
2. Also known as Irritable bowel syndrome
3. Diarrhoea, Steatorrhea, macrocytic anemia
4. Aspirate from the jejunum that grows in excess of 105 bacteria per millilitre

Correct answer: 2. Also known as Irritable bowel syndrome

Explanation: (B) Also known as Irritable bowel syndrome # Small bowel bacterial overgrowth syndrome (SBBOS), or small intestinal bacterial overgrowth (SIBO), also termed bacterial overgrowth; is a disorder of excessive bacterial growth in the small intestine.> Unlike the colon (or large bowel), which is rich with bacteria, the small bowel usually has less than 104 organisms per milliliter.> Patients with bacterial overgrowth typically develop symptoms including nausea, bloating, vomiting and diarrhea, which is caused by a number of mechanisms.> Diagnosis of bacterial overgrowth is made by a number of techniques, with the gold standard diagnosis being an aspirate from the jejunum that grows in excess of 105 bacteria per millilitre.> Risk factors for the development of bacterial overgrowth include the use of medications including proton pump inhibitors, anatomical disturbances in the bowel, including fistulae, diverticula and blind loops created after surgery, and resection of the ileo-cecal valve.> Small bowel bacterial overgrowth syndrome is treated with antibiotics, which may be given in a cyclic fashion to prevent tolerance to the antibiotics.